All of the following signs may be appreciated in a patient with early papilloedema except:
1. Obscuration of superior, inferior and nasal disc margins
2. Absence of spontaneous venous pulsation
3. Mild hyperaemia of the disc
4. Obliteration of physiological cup of the optic disc

Correct answer: 4. Obliteration of physiological cup of the optic disc

Explanation: Ans. Obliteration of physiological cup of the optic disc